SABE is most commonly due to:
1. Staphylococcus aureus
2. Streptococcus pneumonia
3. Streptococcus viridans
4. HACEK group bacteria

Correct answer: 3. Streptococcus viridans

Explanation: Ans:C i.e. Streptococcus viridans Subacute bacterial endocarditis/Endocarditis lenta It can be considered a form of Type III hypersensitivity. It is usually caused by a form of streptococci viridians bacteria that normally live in the mouth and throat (Streptococcus mutans, mitis, sanguis or milleri). Osler's nodes can indicate this condition. Nail clubbing is also often seen in subacute endocarditis. In cases of subacute bacterial endocarditis, the causative organism (streptococcus viridans) needs a previous heart valve disease to colonize and cause such disease. On the other hand, in cases of acute bacterial endocarditis, the organism can colonize on the healthy heart valve, causing the disease.